Mass prophylaxis is given for a/e -
1. Lymphatic filariasis
2. Vitamin A deficiency
3. Scabies
4. Worm infestation

Correct answer: 3. Scabies

Explanation: Ans. is 'c' i.e., Scabies For scabies mass prophylax is not recommended only the treatment of all members of the affected household is recommended. For lymphatic filiariasis mass chemoprophylaxis is recommended in the community irrespective of whether they have microfilaraemia, disease manifestations or no signs of a infection. In areas where intestinal worm infestations occur, the WHO recommends treating/preventing all children at regular intervals with deworming drugs to improve growth and school performance. Carefully read the question once again, there is mass prophylaxis (not mass chemoprophylaxis). So, it is prophylaxis by any means (Drug: chemoprophylaxis, vaccine, nutritional supplementation). Therefore, Vitamin 'A' administration under national program for prophylaxis against blindness (to all children from the age of 9 months to 5 years) is a type of mass prophylaxis.